Laryngitis sicca is associated with ?
1. Rhinosporidium
2. M. leprae
3. Klebsiella azaenae
4. Klebsiella rhinoscleromatosis

Correct answer: 3. Klebsiella azaenae

Explanation: Ans. is 'c' i.e., Klebsiella azaenae Laryngitis sicca (Atrophic laryngitis or laryngitis atrophica) It is a rare entity characterized by atrophic changes in the respiratory mucosa with loss of the mucus - producing glands. It is usually associated with atrophic rhinitis and pharyngitis caused by klebsiella ozaenae. The most common sites involved in larynx are the false cords (vestibular folds), the posterior region and the subglottic region. More common in women. Clinical features Irritable cough and hoarseness Excessive crusts formation which are sometimes bloodstained (hemorrhagic) with foul odour. Crusts are the most important diagnostic feature. Treatment Elimination of causative factors and humidification. Laryngeal sprays with glucose in glycerine or oil of pine helps in crust removal. Expectorants containing ammonium chloride or iodides also help to loosen the crust. Microlaryngoscopic removal of crust in laryngitis sicca is the new modality of treatment.